Muscles cannot contribute to raising blood glucose by glycogenolysis due to lack of -
1. Glucokinase
2. Phosphoglucomutase
3. G-6-phosphatase
4. Musclephosphorylae

Correct answer: 3. G-6-phosphatase

Explanation: Ans. is 'c' i.e., G-6-phosphatase o Glucose-6-phosphatase is absent in muscles therefore, glucose-6-phosphate cannot be degraded to free glucose in muscles.o Moreover, glucose-6-phosphate cannot diffuse out of the muscles.o Therefore, muscle cannot provide glucose to maintain blood glucose level.o Rather, muscle glycogen acts as a source of energy: the glucose-6-phosphate enters the glycolysis to produce energy.